The clinical consequences of hypokalemia in skeletal muscle include muscle weakness and cramps. What is the level of Serum Potassium at which Paralysis Is a possible complication of hypokalemia?
1. Serum Potassium at 2.0 mEq/L
2. Serum Potassium at 2.5 mEq/L
3. Serum Potassium at 3.0 mEq/L
4. Serum Potassium at 3.5 mEq/L

Correct answer: 2. Serum Potassium at 2.5 mEq/L

Explanation: Paralysis occurs when potassium levels are <2.5 mEq/L. It usually starts in legs and moves to arms